Most common cause of bronchiolitis in children?
1. RSV
2. Papova virus
3. Adenovirus
4. H3N1

Correct answer: 1. RSV

Explanation: Ans. (a) RSV